Sistrunks procedure is used for
1. Thyroglossal cyst
2. Reidel thyroiditis
3. Thymic aplasia
4. All of the above

Correct answer: 1. Thyroglossal cyst

Explanation: Sistrunks procedure is removal of cyst and tract till base of tongue.